No of ASHA visits after home delivery is :
1. 4
2. 6
3. 5
4. 7

Correct answer: 4. 7

Explanation: ASHA 6 visits in Institutional deliveries: Day 3,7,14,21,28,42 ASHA 7 visits in Home based deliveries: Day 1,3, 7,14,21, 28,42 Ref: Park 25th edition Pgno : 496